Which of the following agent is NOT used in management of bronchial asthma:
1. Phospho-di-esterase inhibitors
2. Steroids
3. Beta agonists
4. Cholinergic drugs

Correct answer: 4. Cholinergic drugs

Explanation: Ans: D i.e. Cholinergic drugs Drugs and uses Methylxanthines (theophylline, aminophylline, doxophylline etc.) acts by 3 distinct cellular actions. (i) Release of calcium from sarcoplasmic reticulum, (ii) inhibition of phosphodiesterase and (iii) blockade of adenosine receptors. Corticosteroids benefit in asthma by reducing bronchial hyper-reactivity, mucosal edema and by suppressing inflammatory response to antigen: antibody reaction or other trigger stimuli. Beta agonists/sympathomimetics causes bronchodilatation through beta2 receptor stimulation --n increased cAMP formation in bronchial muscle cell relaxation. Cholinergic drugs will precipitate asthma, by causing bronchoconstriction (instead anticholinergic drugs/atropine is used, which causes bronchodilatation by blocking cholinergic constrictor tone).